Band shaped keratopathy seen in:
1. JRA
2. RA
3. SLE
4. DLE

Correct answer: 1. JRA

Explanation: Ans. JRA